Not a ball and socket type of joint among the following is
1. Talocalcaneonavicular joint
2. Incudostapedeal joint
3. Calcaneocuboid joint
4. Shoulder joint

Correct answer: 3. Calcaneocuboid joint

Explanation: Calcaneocuboid joint is a Saddle the of joint.